In HIV infection the prophylaxis for pneumocystis jiroveci may be stopped after HAART if the CD4 count persists more than 200 for what duration?
1. 1 month
2. 2 month
3. 3 month
4. 6 month

Correct answer: 3. 3 month

Explanation: Pneumocystis jiroveci - Prophylaxis should be started if the patient has 1. CD4+ T cell count OR 2. Oropharyngeal candidiasis OR 3. Prior bout of PCP DRUG used: Trimethoprim/sulfamethoxazole (TMP/SMX), 1 double strength tablet once daily The prophylaxis may be stopped if CD4+ T cell count >200 for 3 months Ref: Harrison, Edition-18, Page-1544.